Abrasion collar is seen in:
1. Abrasions over neck
2. Bullet injury
3. Punctured wounds
4. Lacerated wounds

Correct answer: 2. Bullet injury

Explanation: Ans. B: Bullet injury Abraded margin (Abrasion collar, Marginal abrasion, Contusion ring, Abrasion ring) occurs due to Forward motion of bullet indenting the skin and abrading the margin of entry wound. Grease or di collar is a black coloured ring lining the entry point of bullet and is sharply outlined